Which of the following is true about alpha 1 antitrypsin?
1. Inhibits elastase
2. Inhibits trypsinogen activation in pancreas
3. Inhibits trypsin activating protease
4. Inhibits chymotrypsin

Correct answer: 1. Inhibits elastase

Explanation: Alpha 1 antitrypsin : anti elastase protein coded by gene PiMM gene. Any mutation in this gene lead to abnormal formation of alpha 1 antitrypsin protein which leads to Storage of this abnormal enzyme inside hepatocyte instead of it's secretion resulting in manifestation of micronodular cirrhosis of liver and Pan acinar emphysema in basal part of lung.